Static equilibrium is due to
1. Macula
2. Cupula
3. End organ of corti
4. Cristae ampulla

Correct answer: 1. Macula

Explanation: Macula is the peripheral receptor of utricle and saccule; Static equilibrium is controlled by utricle and saccule Semicircular canals respond to angular acceleration and deceleration Cristae is located in the ampullary ends of the semicircular canals Ref: PL Dhingra 6th edition of Ear, Nose and Throat; pg no 18